Normal value of tear film break-up time
1. 5-10 seconds
2. 10-15 seconds
3. 15-30 seconds
4. > 35 seconds

Correct answer: 3. 15-30 seconds

Explanation: Tear Film break-up time:
It is the interval between a complete blink and appearance of first randomly disributed dry spot on the cornea.
Normal value - 15-35 seconds.